Benefits of cost benefit analysis of a programme are measured in terms of:
1. Number of lives saved
2. Monetary gains
3. Comparison of alternatives
4. Sequence of actions

Correct answer: 2. Monetary gains

Explanation: Ans. B: Monetary gains